Gene for Rh antigen is located on chromosome ?
1. 1
2. 4
3. 9
4. 19

Correct answer: 1. 1

Explanation: Ans. is 'a' i.e., 1